Branch of pharmacology that deals with medicinal drugs that are obtained from plants and other natural resources are known as
1. Pharmacognosy
2. Pharmacogenetics
3. Pharmacogenomics
4. Pharmacopoeia

Correct answer: 1. Pharmacognosy

Explanation: Ref-K.K.Sharma 2nd/4 Defination